MTC associated with MEN 3 syndrome has
1. Good prognosis
2. Bad prognosis
3. Late presentation
4. Chromose 11 mutation

Correct answer: 2. Bad prognosis

Explanation: MITC associated with MEN 3 syndrome is very aggressive.
Chromosome 10 ( RET) mutation is present.